True about bacterial capsule is following except ?
1. Prevents phagocytosis
2. Stains by Gram stain
3. Protects bacteria from lytic enzymes
4. Lost by repeated subcultures

Correct answer: 2. Stains by Gram stain

Explanation: Ans. is 'b' i.e., Stains by Gram stain.